Srand of DNA from which mRNA is formed by transcription is called:
1. Template
2. Anti template
3. Coding
4. Transcript

Correct answer: 1. Template

Explanation: Ans: a (Template) Ref: Vasudevan, 4th ed, p. 405; 5th ed, p. 424* Template strand is the one which is translocated to give mRNA.* As the codons are present in mRNA, DNA strand having the same sequence of mRNA is called coding strand / anti template strand.